True about obstructive sleep apnea are all except
1. Females affected more than males
2. Commonly associated with hypertension
3. Day time sleepiness is seen
4. >5 episodes of apnea per hour

Correct answer: 1. Females affected more than males

Explanation: Obstructive sleep apnea is defined as the coexistence of unexplained excessive daytime sleepiness with at least 5 obstructed breathing events (apnea or hypopnea) per hour of sleep.Male sex and middle age(40-65 years) are predisposing factors.It is associated with elevated 24-h mean blood pressure.The increase is greater in those with recurrent nocturnal hypoxemia,is at least 4-5 mmHg and may be as great as 10 mmHg in those with >20% arterial oxygen desaturations per hour of sleep.This rise probably results from a combination of surges in blood pressure accompanying each arousal at apnea/hypopnea termination and from the associated 24-h increases in sympathetic tone. Ref:Harrison's medicine-18th edition,page no:2187.